Donovanosis/granuloma venerum is caused by
1. Calymatobacter granulomatis
2. T. pertenue
3. Chlamydia Trachomatis
4. H. ducreyi

Correct answer: 1. Calymatobacter granulomatis

Explanation: A i.e. Calymatobacter granulomatis